Hallucinations are seen in All Except ?
1. Schizophrenia
2. Seizure due to Intracerebral space occupying lesions
3. LSD
4. Anxiety

Correct answer: 4. Anxiety

Explanation: D. i.e. Anxiety